Which of the following nerves shows the presence of pseudoganglion near its termination?
1. Ulnar nerve
2. Anterior interosseous nerve
3. Posterior interosseous nerve
4. Superficial terminal branch of radial nerve

Correct answer: 3. Posterior interosseous nerve

Explanation: Pseudoganglion is one in which there is no nerve cells but only nerve fibres are present. Pseudoganglia have been noted most often along nerve to teres minor, posterior interosseous nerve, lateral terminal branch of deep peroneal nerve. Posterior interosseous nerve, on the dorsum of hand terminates in a pseudoganglion, from which branches are given off to distal radioulnar joint, wrist joint, intercarpal and carpometacarpal joints.